50 people are suffering from cholera in a population of 5000.Out of 50, suffering from cholera, 10 died. But the total deaths are 50. What is the crude death rate -
1. 1 per 1000
2. 5 per 1000
3. 10 per 1000
4. 20 per 100

Correct answer: 3. 10 per 1000

Explanation: Ans, is 'C' 10 per 1000 Mention of cholera is just to confuse students.. o In this question : Mid year population = 5000 Total death = 50 Patients of cholera =50 Death due to cholera = 10 Here is a similar example- Follow these steps, substitute the numericals in the question and arrive at the answer. o The simplest measure of mortality is crude death rate o Other mortality rates which can be calculated in this question are - 1) Specific death rate due to cholera 2) Proportional mortality rate 3) Case fatality rate-